In strychnos nux vomica poisoning, patient:
1. Becomes unconscious immediately
2. Becomes unconscious in 1 h or so
3. Becomes unconscious at end stage
4. Remains conscious throughout

Correct answer: 4. Remains conscious throughout

Explanation: Ans. Remains conscious throughout